Concentration of F in 1.23% APF gel is (1.23% c)
1. 22600 ppm
2. 12300 ppm
3. 5620 ppm
4. None

Correct answer: 2. 12300 ppm